Commando's operation is for
1. Mandible
2. Radical mastectomy
3. Leg amputation
4. Oral cancer

Correct answer: 4. Oral cancer

Explanation: It is en-bloc removal ,which includes wide excision of primary tumour with hemimandibulectomy and neck block dissection,examples : it is done usually in carcinoma of tongue or floor of the mouth ;it is a composite resection of primary tumour ,mandible and radical neck dissection(RND) SRB,5th,451.